Which of the following is metabolically active form of Vitamin D
1. Cholecalciferol
2. 25 hydroxy vit D
3. 1, 25 dihydroxy Vit D
4. 24, 25 dihydroxy Vit D

Correct answer: 3. 1, 25 dihydroxy Vit D